ANCA is NOT associated with which of the following disease:
1. Wegener's Granulomatosis
2. Henoch Schonlein Purpura
3. Microscopic Polyangitis
4. Churg Strauss syndrome

Correct answer: 2. Henoch Schonlein Purpura

Explanation: Answer is B (Henoch Schonlein Purpura): Henoch Schonlein Purpura is an ANCA Negative Vasculitis